Spinomuscular atrophy is seen in lesion of:
1. Anterior horn
2. Peripheral nerve
3. Neuromuscular junction
4. Any of the above

Correct answer: 1. Anterior horn

Explanation: Answer is A (Anterior horn cells): Spinomuscular Atrophy is a form of motor neuron disease that affects the lower motor neuron (Anterior horn cells) only. The site of LMN lesion in LMN type motor neuron disease is the anterior horn cell.